Mechanism of action of ciprofloxacin in gram negative bacteria:-
1. Inhibition of mycolic acid
2. Inhibition of topoisomerase IV
3. Inhibition of DNA gyrase
4. Inhibition of helicase

Correct answer: 3. Inhibition of DNA gyrase

Explanation: MECHANISM OF FLUOROQUINOLONES (FQ) In gram negative bacteria, FQ inhibit DNA gyrase by binding to its A subunit and interfere with cutting and resealing function. In gram positive bacteria, FQ inhibit similar enzyme DNA topoisomerase IV.